Z-plasty ideal angle is
1. 30 degrees
2. 45 degrfees
3. 60 degrees
4. 90 degrees

Correct answer: 3. 60 degrees

Explanation: Z-plasty is a plastic surgery technique used to improve the functional and cosmetic appearance of scars. It involves the creation of two triangular flaps of equal dimension that are then transposed. For a basic z-plasty, the triangular flaps are created using an angle of 60 degrees Theoretically, this angle can lengthen a contracted scar by about 75 percent and reorient the direction of the central wound by 90 degrees.